All of the following are the criteria for weaning the patient from ventilation except :
1. Vital capacity: >10 mL/kg
2. Tidal volume: 4-6ml/kg
3. Minute ventilation: 10 L/min
4. Rapid shallow breathing index: <120

Correct answer: 4. Rapid shallow breathing index: <120

Explanation: Mechanical criteria for weaning or extubation : Inspiratory pressure: -20-30cm H2O Tidal volume: 4-6ml/kg Vital capacity: >10 mL/kg Minute ventilation: 10L/min Rapid shallow breathing index: <100